The treatment for CNS leukaemia is
1. Intrathecal methotrexate
2. Vincristine and prednisolone
3. Intrathecal vincristine
4. IV prednisolone

Correct answer: 1. Intrathecal methotrexate

Explanation: Intrathecal methotrexate is a chemotherapy drug which is given to prevent leukaemia cells entering the cerebrospinal fluid (CSF) around the spine and brain. This drug is also used to treat leukaemia found in the CSF for CNS leukemias Ref Davidson 23rd edition pg 788